All the following are radiological features of mitral stenosis except:
1. Straight left heart border
2. Oligaemia of the upper lung fields
3. Pulmonary haemosiderosis
4. Lifting of the left bronchus

Correct answer: 2. Oligaemia of the upper lung fields

Explanation: Ans. Oligaemia of the upper lung fields